Central dot sign on CT SCAN -
1. Caroli's disease
2. Primary sclerosing cholangitis
3. Polycystic liver disease
4. Liver hamartoma

Correct answer: 1. Caroli's disease

Explanation: Ans. is 'a' i.e., Caroli's disease o Central Dot sign on CT or USG is seen in (i) Caroli's disease (most common cause); (ii) Prebiliary cysts; (iii) Obstructive jaundice; and (iv) Periportal lymphedema.